Prolonged treatment with INH leads to deficiency of:
1. Pyridoxine
2. Thiamine
3. Pantothenic acid
4. Niacin

Correct answer: 1. Pyridoxine

Explanation: Ans. (A) Pyridoxine(Ref: Katzung 11th/e p825, KDT 8th/e p818)Isoniazid can cause peripheral neuropathy due to deficiency of pyridoxine.